Which does not cause microvesicular steatosis -
1. Alcoholic fatty liver
2. Tetracycline toxicity
3. Acute fatty liver of pregnancy
4. Reyes syndrome

Correct answer: 1. Alcoholic fatty liver